\r\n\r\n\r\n \r\nA country has a population of 1000 million; birth rate is 23 and death rate is 6. In which phase of the demographic cycle does this country lie?\r\n\r\n
1. Early expanding
2. Late expanding
3. Plateau
4. Declining

Correct answer: 2. Late expanding

Explanation: This country has a high growth rate (Crude Birth Rate-Crude Death Rate) and therefore lies in an expanding phase. The stages of a demographic cycle whether 'early' or 'late' are based on relative terms like decreasing or increasing crude birth and death rates. The question here provides us only with absolute values, as given in this question (CBR=23 & CDR=6) are insufficient data to comment on the stage of demographic cycle, this country is in. A country with a 1000 million population like India, a birth rate of 23 is a declining rate, and a death rate of 6 is a decline further. Thus, this case can be placed in the late expanding phase, in which India currently is. Ref: Park's Textbook of Preventive and Social Medicine By K. Park, 19th Edition, Page 379.